Most common site of chronic gastric ulcer:
1. Pylorus of stomac
2. Lesser curve near incisura
3. Lesser curve near proximal stomach
4. Greater curvature

Correct answer: 2. Lesser curve near incisura

Explanation: Modified Johnson's Classification of Gastric Ulcer Type Location Acid Secretion I Lesser curvature, near incisura angularis (MC) Low II Body of the stomach and duodenum High III Prepyloric (within 2-3 cm of the pylorus) High IV High on the lesser curve, near GE junction Low V Anywhere, induced by medication (NSAIDs) Low Gastric ulcer type Blood Group associated Type I 'A' Type II Type III Type IV Type V 'O' Gastric ulcer type Acid output Type II Type III High Type I Type IV Type V Low